Allopurinol is used in the treatment of:
1. Osteoarthritis
2. Gout
3. Rheumatoid Arthritis
4. Ankylosing spondylitis

Correct answer: 2. Gout

Explanation: Allopurinol a xanthine oxidase inhibitor is used in the treatment of gout. By inhibiting xanthine oxidase it reduces uric acid synthesis. Ref: Essentials of Medical Pharmacology By KD Tripathi, 5th Edition, Page 191 - 2.